Which of the following is M.C. cause of hypotension in fracture ribs (T10-T12) -
1. Abdominal solid visceral organ injury
2. Injury to aorta
3. Inter costal artery damage
4. Pulmonary contusion

Correct answer: 1. Abdominal solid visceral organ injury

Explanation: • MC cause of hypotension in trauma patients: Hemorrhage
• MC cause of shock after trauma is hypovolemia, and there are five places that a patient can lose large volume of blood:
Externally, the chest, the abdomen, the retroperitoneum, and into muscle compartments (Blood on the floor and four more).
• Fracture of lower ribs (T9-T12) are usually associated with splenic or hepatic injuries
• Fracture of upper ribs (T1-T3), clavicle or scapula is usually associated with major vascular injuries